Amnion is present on :
1. Decidua basalis
2. Fetal surface
3. Maternal surface
4. All of the above

Correct answer: 2. Fetal surface

Explanation: B i.e. Fetal surfaceAmnion is the inner most layer facing fetus Q; decidua perietalis & basalis are the outer most layers & face towards maternal surface Q